The best laboratory test to use in the diagnosis of Lupus vulgaris in the oral cavity is:
1. Bacterial smear
2. Blood studies
3. Biopsy
4. Blood chemistry

Correct answer: 3. Biopsy